Coracoacromial ligament resists which movements?
1. Upward displacement of humeral head
2. Abduction of shoulder
3. Inferior displacement of humerus
4. External rotation

Correct answer: 1. Upward displacement of humeral head

Explanation: Ans. is 'a' i.e., Upward displacement of humeral head * The coracoacromial ligament is a flat triangular band that plays a supportive role for the shoulder joint.* Coracoacromial prevents Upward displacement of humeral head.